Which of the following is false about phases of swallowing
1. Oral phase: it's voluntary phase involving V, VII and XII nerve
2. Pharyngeal phase: is reflex and involuntary, chewing, breathing, coughing and vomiting concomitantly inhibited during this phase
3. Eosophageal phase: under voluntary neuromuscular control and involves peristalsis and relaxation phase.
4. Movement of bolus posteriorly is controlled by IX and X nerve

Correct answer: 3. Eosophageal phase: under voluntary neuromuscular control and involves peristalsis and relaxation phase.